All are seen in Thalassemia major EXCEPT
1. Macrocytic anemia
2. Transfusion dependency
3. Hepato-splenomegaly
4. Target cells

Correct answer: 1. Macrocytic anemia

Explanation: Ans.(a) Macrocytic anemiaRef: Harrison 19th ed. / 637* Thalassemia major is a hemolytic anemia where defective RBC s are produced resulting in transfusion dependency since the defective RBC s are destroyed by the spleen. These defective RBC in blood circulation are referred to as target cells on a peripheral smear.* The type of anemia seen is referred to as Microcytic Hypochromic anemia.* The Hematopoiesis that occurs in liver and spleen in these patients is referred to as extramedullary hematopoiesis and is responsible for spleno-hepatomegaly in these patients.* IOC for thalassemia is hemoglobin electrophoresis and definitive treatment is bone marrow transplantation.* For survival however Packed RBC are required on regular basis and thus these patients are called transfusion dependant.